Cardiac output varies under different physiological conditions. It is decreased by?
1. Increased heart rate
2. Decreased heart rate
3. Increased stroke volume
4. None of the above

Correct answer: 2. Decreased heart rate

Explanation: Cardiac output is the product of the heart rate and stroke volume (CO = HR x SV). Therefore, cardiac output decreases by bradycardia. Ref: Mohrman D.E., Heller L.J. (2010). Chapter 3. The Heart Pump. In D.E. Mohrman, L.J. Heller (Eds), Cardiovascular Physiology, 7e.